Gallow's traction is used for fracture:
1. Shaft femur
2. Neck femur
3. Shaft tibia
4. Tibial tuberosity

Correct answer: 1. Shaft femur

Explanation: Ans. a. Shaft femur (Ref: Apiey 9/ep86J. \laheshwari 3rd/l 22)Gallow's traction is used for treatment of fracture shaft of femur, in infants and children <2 years of age.Gallow's Traction* Gallow's traction is used for treatment of fracture shaft of femur, in infants and children <2 years of age.* Both the fractured and the normal femur are placed in skin traction and infant is suspended by these from a special frame.* The buttocks should he lifted just off the bed so that the weight of the body provides counter traction and the fracture is reduced.